Neural tube defects have which one of the following inheritance patterns?
1. Autosomal dominant
2. Autosomal recessive
3. X-linked recessive
4. Multifactorial

Correct answer: 4. Multifactorial

Explanation: - Neural tube defects: Occurs d/t failure of proper closure of neural tube Show multifactorial inheritance. Examples: 1. Meningocele 2. Meningomyelocele 3. Anencephaly 4. Spina bifida occulta 5. Iniencephaly 6. Encephalocele - Extra Edge: Other conditions having multifactorial inheritance are Hypertension Diabetes mellitus Most of the congenital heart diseases etc